Which of the following is used in the treatment of hyperprolactinemia
1. Cimetidine
2. Methysergide
3. Bromocriptine
4. Ondansetron

Correct answer: 3. Bromocriptine

Explanation: Refer KDT 6/e p 236 It is an ergot alkaloid and is a Dopamine agonist Dopamine acts as prolactin inhibiting hormonal big the brain Agonism of Dopamine receptors by Bromocriptine is responsible for it's use in hyperprolactinemia